All of the following have same radiographic features except:
1. Odontoma
2. Dentigerous cyst
3. Ameloblastoma
4. Keratocyst

Correct answer: 1. Odontoma